A 28-year-old woman comes for treatment of hirsutism. She is obese and has facial acne and hirsutism on her face. Serum LH level is 32 mIU/mL and FSH is 9 mIU/mL. Androstenedione and testosterone levels are mildly elevated, but serum DHEAS is normal. The patient does not wish to conceive at this time. Which of the following is the most appropriate treatment of her condition?
1. Oral contraceptives pills
2. Corticosteroids
3. GnRH analogue
4. Wedge resection of ovary

Correct answer: 1. Oral contraceptives pills

Explanation: This patient has PCOS, diagnosed by Clinical picture- Obese, Facial acne and Hirsutism Abnormally High LH-to-FSH ratio, and increased androgens but Normal DHEAS(excludes Adrenal sources of Hyperandrogenism) To treat Hirsutism associated with PCOS:- OC pills suppress hair growth, act by directly suppressing ovarian steroid production and increasing hepatic binding globulin production, which binds circulating hormone and lowers the concentrations of metabolically active (free unbound) androgen.